Glaucomflecken are seen in:
1. Open angle glaucoma
2. Uveitis
3. Retinitis pigmentosa
4. Angle closure glaucoma

Correct answer: 4. Angle closure glaucoma

Explanation: Angle-closure glaucoma can have the appearance of glaucomflecken. Glaucomflecken are small anterior subcapsular opacities secondary to lens epithelial necrosis resulting from acute angle-closure glaucoma. - Signs of Angle closure glaucoma :Stony hard eye, steamy cornea, Vertically oval mid-dilated non reacting pupil - Symptoms: Severe pain, coloured halos, sudden drop in vision. Symptoms occurs in late night - Nd-Yag Laser iridotomy is done for management of Angle closure glaucoma